The first cell culture vaccine was
1. Human diploid cell ( HDC ) vaccine
2. Low egg passage ( LEP ) vaccine
3. Purified chick embryo cell ( PCEC ) vaccine
4. Purified vero cell ( PVC ) vacccine

Correct answer: 1. Human diploid cell ( HDC ) vaccine

Explanation: An inactivated rabies vaccine for human use was first prepared in cell culture. It was shown that the human diploid cell (HDC) strain WI-38 was a suitable substrate for the propagation of the Pitman-Moore (PM) strain of fixed rabies virus. Ref : Ananthanarayana textbook of Microbiology 9th edition Pgno : 534